Blount's disease is -
1. Genu valgurn
2. Genu varum
3. Genu recurvatum
4. Meniscal injury

Correct answer: 2. Genu varum

Explanation: Blount's disease is a rare growth disorder that affect children, causing the legs to bow outwards just below the knee.
Tibia vara is caused by growth retardation of the medial and posterior part of the proximal tibial epiphysis and epiphysis due to abnormal weight - bearing stress and compression forces on varus knee.